True about components separation technique are all, EXCEPT:
1. Associated with a high wound infection risk
2. Ramirez first described the technique
3. A recurrence rate of around 20%
4. None of the above

Correct answer: 4. None of the above

Explanation: In an effort to decrease the suture line tension associated with primary repair, Ramirez first described the components separation technique. Components separation entails the creation of large subcutaneous flaps lateral to the fascial defect followed by incision of the external oblique muscles and, if necessary, incision of the posterior rectus sheath bilaterally. These fascial releases allow for primary apposition of the fascia under far less tension than in simple primary repair. Components separation hernia repair is associated with a high wound infection risk (20%) and a recurrence rate of 18.2% at 1 year. Ref: Schwartz's principle of surgery 9th edition, chapter 35.